Abortion is the expulsion or extraction from the uterus, spontaneous or induced, or the fetus or embryo weighing:
1. Less than 100 gm
2. Less than 50 gm
3. Less than 250 gm
4. Less than 500 gm

Correct answer: 4. Less than 500 gm

Explanation: Less than 500 gm